Which of the following statements about indirect pulp capping is false?
1. Some leathery caries may be left in the preparation.
2. A liner is generally recommended in the excavation.
3. The operator should wait at least 6 to 8 weeks before re-entry (if then).
4. The prognosis of indirect pulp capping treatment is poorer than that of direct pulp capping.

Correct answer: 4. The prognosis of indirect pulp capping treatment is poorer than that of direct pulp capping.

Explanation: When doing an indirect pulp capping, some caries may be left. A  liner  is usually placed over the excavated area, and the area may be assessed 6 to 8 weeks later. Regardless, the indirect pulp capping prognosis is better than the prognosis for direct pulp capping.